Maximum delay allowed to pour cast with Hydrocolloids impression material
1. 15 min
2. 30 min
3. 45 min
4. 2 hours

Correct answer: 2. 30 min

Explanation: Immediate pouring is required. Maximum 30 min can be there, stored at 100% relative humidity in 2% K2SO4 solution.